Which of the following anti-cancer drug comes under monoclonal antibodies:
1. Di-ethyl-stilbestrol
2. Tamoxifen
3. Ritumixab
4. Bortezomib

Correct answer: 3. Ritumixab

Explanation: Ans. C i.e. Ritumixab Rituximab It is a chimeric monoclonal antibody against the protein CD20, which is primarily found on the surface of B cells. Rituximab destroys B cells, and is therefore used to treat diseases which are characterized by excessive numbers of B cells, overactive B cells, or dysfunctional B cells. This includes many lymphomas, leukemias, transplant rejection, and autoimmune disorders.